True about Swyers syndrome
1. Gonads are ovaries
2. Mullerian ducts develop normally
3. External genitalia look like male
4. Excess testosterone.

Correct answer: 2. Mullerian ducts develop normally

Explanation: Swyers syndrome = 46XY

Dysgenetic testis

Absent testosterone → External genitalia looks like female.
Absent AMH → Mullerian ducts develop normally.